All of the following therapeutic uses of corticosteroids are appropriate except:
1. Beclomethasone in bronchial asthma
2. Cortisone for Cushing's syndrome
3. Prednisolone for Rheumatoid arthritis
4. Dexamethasone for reducing intracranial pressure

Correct answer: 2. Cortisone for Cushing's syndrome